Side effect of steroids are all except:
1. Hypoglycemia
2. Hypertension
3. Psychosis
4. Growth retardation

Correct answer: 1. Hypoglycemia